Most common cause of acute superior mesenteric arterial obstruction is:
1. Embolism
2. Thrombosis
3. Non occlusive ischemia
4. Atherosclerosis

Correct answer: 1. Embolism

Explanation: Ans: A i.e. Embolism Superior mesenteric arterial obstruction An embolus from the heart or aorta to the superior mesenteric artery is responsible for 40-50% of cases of acute small bowel ischemia Thrombosis of underlying atheromatous disease for approximately 25 % and non-occlusive ischemia due to hypotension complicating myocardial infarction, heart failure, arrhythmias or sudden blood loss for approximately 25% of cases of acute small bowel ischemia Chronic mesenteric ischemia results from atherosclerotic stenosis affecting at least two of the celiac axis, superior mesenteric and inferior mesenteric arteries